HACEK group of organisms includes all except:
1. Haempphilus aphrophilus
2. Acinetobactor baumannii
3. Cardiobacterium hominis
4. Eikenella corrodens

Correct answer: 2. Acinetobactor baumannii

Explanation: Acinetobactor baumannii